Protein fragments separation is/are done by:
1. Ultrafiltration
2. Chromatography
3. Centrifugation
4. All

Correct answer: 4. All

Explanation: All Correct : Chromatography, Centrifugation, Ultrafiltration, Electrophoresis